Which of the following metabolic pathways does not generate ATP:
1. Glycolysis
2. TCA Cycle
3. Fatty Acid Oxidation
4. HMP Pathway

Correct answer: 4. HMP Pathway

Explanation: No ATP is directly consumed or produced in the hexose monophosphate shunt (HMP). Ref: Harper's Textbook of Biochemistry, 27th Edition, Pages 177, 189; Lippincott's Biochemistry, 5th Edition, Pages 104, 113, 145, 192